Most accurate tool for gestational age assignment is
1. Menstrual history
2. Clinical assessment
3. First trimester Crown-Rump length
4. Femur length

Correct answer: 3. First trimester Crown-Rump length

Explanation: A first-trimester crown rump length is the most accurate tool for gestational age assignment and is performed as clinically indicated. (Ref: William's Obstetrics; 25th edition)